MOHs micrographic excision for basal cell carcinoma is used for all the following Except
1. Recurrent tumour
2. Tumor less than 2 cm in diameter
3. Tumors with aggressive histology
4. Tumors with perineural invasion

Correct answer: 2. Tumor less than 2 cm in diameter

Explanation: Indications for Moh's micrographic surgery in basal and squamous cell CaRecurrent tumourTumour size > 2 cm in diameterTumours with aggressive histology (such as Infiltrative micronodular BCC or poorly differentiated SCC).Tumors with ill-defined marginsTumors that are incompletely excisedTumors with perineural invasionTumor location where maximal conservation of normal tissue is impoant ( such as eyelid, nose, ear, lip, digit, genitalia).